Anxiety disorder does not include
1. Generalized anxiety disorder
2. Panic disorder
3. Social phobia
4. None of the above

Correct answer: 4. None of the above

Explanation: (D) None of the above # Generalized Anxiety Disorder: This is characterized by an insidious onset in the third decade and a stable, usually chronic course which may or may not be punctuated by repeated panic attacks (episodes of acute anxiety).# Panic Disorder: This is characterized by discrete episodes of acute anxiety.> The onset is usually in early third decade with often a chronic course.> The common types of phobias areA. Agoraphobia; 2. Social phobia, and; 3. Specific (simple) phobia